Bubos with multiple sinuses discharging into inguinal lymph nodes are seen in:
1. Chancroid
2. Granuloma Inguinale
3. LGV
4. Syphilis

Correct answer: 3. LGV

Explanation: C i.e. LGV